Vertebral rotation in scoliosis is checked in
1. Forward bending
2. Backward bending
3. Sideways
4. Without bending

Correct answer: 1. Forward bending

Explanation: (Refer: Mohindra's Fundamentals of Orthopedics, 2nd edition, pg no. 244, 245)